What best defines vasa vasorum -
1. Small blood vessels supplying walls of large blood vessels
2. Small blood vessels supplying nerves
3. Vessels accompanying artery
4. Vessels accompanying nerves

Correct answer: 1. Small blood vessels supplying walls of large blood vessels

Explanation: Ans. is 'a' i.e., Small blood vessels supplying walls of large blood vessels o Vasa vasorum : - A small network of blood vessels that supply large vessels, i.e. the vessels of the vessels. These are found in large arteries and veins, e.g. aorta and its branches. These vessels supply blood and nutrition for tunica adventitia and outer part of tunica media of large vessels o Vasa nervorum : - Small arteries that provide blood supply to peripheral nerves. These arteries supply blood to interior parts of nerve and their coverings, o Nervi vasorum (nervi vascularis) : - The nerves innervating the arteries and veins, o Nervi nervorum : - The nerves which supply nerve sheath, i.e. intrinsic innervation of nerve sheath.